Warthin-Finkeldey giant cells are seen in?
1. Mumps
2. Rubella
3. Measles
4. Chicken pox

Correct answer: 3. Measles

Explanation: Modified giant cells present in Measles is known as Warthin-Finkeldey giant cells.